True about PPV is
1. Increases with prevalence
2. Decreases with prevalence
3. No relation with prevalence
4. Accuracy

Correct answer: 1. Increases with prevalence

Explanation: The predictive value of a positive test indicates the probability that a patient with a positive test result does indeed have the disease in question. The more prevalent a disease, the more accurate will be the predictive value of a positive screening test. Ref: 25th edition, Park's Textbook of Preventive and Social Medicine, Page no. 153